Cabot’s rings are features of
1. Pernicious anaemia
2. Multiple myeloma
3. Burkit’s lymphoma
4. All of the above

Correct answer: 1. Pernicious anaemia